About Lichen planus, all of the following are true Except
1. Pruritic lesion
2. Involves nails
3. Rarely involves mucosa
4. Can cause scarring alopecia

Correct answer: 3. Rarely involves mucosa

Explanation: Lichen planus presents a purplish pruritic polygonal plate topped papules & plaques in skin. Lichen planus is an inflammatory mucocutaneous condition with characteristic violaceous polygonal flat-topped papules and plaques. Pruritus is often severe. Skin lesions may be disfiguring, and involvement of the oral mucosa or genital mucosa in severe cases may be debilitating Oral lesions occur in 60-70% of the cases. Lichen planus affects one or more nails, sometimes without involving the skin surface. It is called twenty-nail dystrophy if all nails are abnormal and nowhere else is affected. Lichen planus thins the nail plate, which may become grooved and ridged. The nail may darken, thicken or lift off the nail bed (onycholysis) Lichen planopilaris is a type of scarring hair loss that occurs when a relatively common skin disease, known as lichen planus, affects areas of skin where there is hair. Lichen planopilaris destroys the hair follicle and then replaces it with scarring, resulting in permanent hair loss Ref Harrison 20th edition pg 1213